Oral vancomycin can be used for treatment of ?
1. Hepatic encephalopathy
2. Pseudomembranous colitis
3. Staphylococcal food poisoning
4. None of the above

Correct answer: 2. Pseudomembranous colitis

Explanation: Ans. is 'b' i.e., Pseudomembranous colitis o Vancomycin is used orally to treat pseudomembranous colitis by clostridium difficile because it is not absorbed from the gastrointestinal tract and higher concentration reaches the colon.